An 70-year-old male patient complains of headache and dizziness. His ambulatory BP was 154/76 mm Hg on multiple occasions. He is likely to be diagnosed as ?
1. Grade 1 hypertension
2. White coat hypertension
3. Secondary hypertension
4. Isolated systolic hypertension

Correct answer: 4. Isolated systolic hypertension

Explanation: Isolated systolic hypertension - When SBP >=140 and DBP <90 . Classification of Blood Pressure for Adults - European Society of Cardiology guidelines - 2018 Blood pressure classification SBP(mmHg) DBP(mmHg) Optimal <120 <80 Normal 120-129 80-84 High Normal 130-139 85-89 Grade 1 hypertension 140-159 90-99 Grade 2 Hypertension 160-179 100-109 Grade 3 Hypertension >=180 >=110 Isolated systolic hypertension >=140 <90